The tumor, which may occur in the residual breast or overlying skin following wide local excision and radiotherapy is
1. Leiomyosarcoma
2. Squamous cell carcinoma
3. Basal cell carcinoma
4. Angiosarcoma

Correct answer: 4. Angiosarcoma

Explanation: Secondary angiosarcoma presents in older women following radiotherapy for breast cancer ( a median of 10 years ) Stewart-Treves syndrome is a rare, deadly cutaneous angiosarcoma that develops in long-standing chronic lymphedema . Chronic lymphedema resulting from radical mastectomy and/or radiotherapy for breast cancer(occurs in arm, not breast tissue)